Treatment of choice in deafness associcated with attico antral perforation-
1. Simple mastoidectomy
2. Modified radical mastoidectomy
3. Watch and wait
4. Instillation of antibiotic drops

Correct answer: 2. Modified radical mastoidectomy